Best prognosis among RCC is
1. Clear cell
2. Papillary
3. Chromophobe
4. Collecting duct

Correct answer: 3. Chromophobe

Explanation: Chromophobe has best prognosis
Collecting duct has the worst prognosis.